When a group of muscles of a dead body were in state of strong contraction immediately prior to death and remain so even after death, the condition is termed as -
1. Gas stiffening
2. Rigor mortis
3. Cadaveric spasm
4. Cold stiffening

Correct answer: 3. Cadaveric spasm

Explanation: Cadaveric spasm is contraction of group of voluntary muscles during life which become stiff and rigid after death without moving into primary relaxation. Dr. Narayana Reddys Synopsis of Forensic Medicine & Toxicology 27 th edition pg. 81.